Death of the mother from an automobile accident comes under
1. Direct maternal death
2. Indirect maternal death
3. Nonmaternal death
4. None of the above

Correct answer: 3. Nonmaternal death

Explanation: Nonmaternal death: Death of the mother that results from accidental or incidental causes not related to pregnancy. An example is death from an automobile accident or concurrent malignancy(Ref: William's Obstetrics; 25th edition)